The treatment of anaplastic carcinoma of thyroid is
1. Total thyroidectomy
2. Palliative radiotherapy
3. Radioactive Iodine
4. Tracheostomy

Correct answer: 2. Palliative radiotherapy